Acute hemorrhagic conjunctivitis is caused by -
1. Enterovirus 70
2. Adenovirus
3. Poliovirus
4. Hepadnavirus

Correct answer: 1. Enterovirus 70

Explanation: The causative agent of Acute hemorrhagic conjunctivitis was identified as enterovirus 70. REF:ANANTHANARAYAN AND PANIKER'S TEXTBOOK OF MICROBIOLOGY 9TH EDITION PAGE NO:493